All of the following statements are true about obsession except:
1. It is a repetitive thought or image
2. Patient believes that the images or thoughts are imposed by others
3. Content of obsession can be about sex or god
4. Patient gets disturbed when unable to remove the thoughts or images

Correct answer: 2. Patient believes that the images or thoughts are imposed by others

Explanation: Obsessions are repetitive thoughts, images or impulses. Often the content of thoughts is about sex or god and patient tries to stop these anxiety provoking thoughts unsuccessfully. Please remember, that a patient with obsession identifies the repetitive thought as his "own thoughts" and not something that is imposed by others. if the patient indeed believes that the thought has been imposed by others, it would then be diagnosed as "thought insertion" and not an obsession.